Virchow node is involvement of
1. Left supraclavicular
2. Left subclavicular
3. Right supraclavicular
4. Left periumblical

Correct answer: 1. Left supraclavicular

Explanation: Left supraclavicular nodes